Gene responsible for FAP is located at
1. Chromosome 5
2. Chromosome 8
3. Chromosome 15
4. Chromosome X

Correct answer: 1. Chromosome 5

Explanation: Familial adenomatous polyp(FAP) is inherited as an autosomal dominant neoplastic condition (chromosome 5q21). It has a high potential for malignant transformation. It presents in younger age group- 15-20 yrs; equal in both sexes. It commonly involves the large intestine but can also occur in stomach, duodenum and small intestine. Reference : page 899 SRB's manual of surgery 5th edition